Fluidity of the membrane is maintained by:
1. Cholesterol
2. Carbohydrates
3. Proteins
4. All

Correct answer: 1. Cholesterol

Explanation: Cholesterol maintainds the fluidity of the membrane Poly unsaturated fatty acids increase fluidity Saturated fatty acids decreases fluidity